WHO criteria for High endemicity for meningococcal disease include -
1. 0 .1%
2. 0 .01%
3. 0.00%
4. 1.00%

Correct answer: 2. 0 .01%

Explanation: WHO Classification of Meningococcal areas:

Low endemicity: < 2 cases per 100,000 population per year
Moderate endemicity: 2-10 cases per 100,000 population per year
High endemicity: > 10 cases per 100,000 population per year (0.01%)
Epidemic: > 100 cases per 100,000 population per year (0.1%)